All of the following species of borrelia are associated with tick borne relapsing fever, except
1. Borrelia recurrentis
2. Borrelia hermsii
3. Borrelia turicatae
4. Borrelia duttani

Correct answer: 1. Borrelia recurrentis

Explanation: Ans. is. 'a' i.e. Borrelia recurrentis